Acronym AMBU stands for :
1. Automated Manual Breathing Unit
2. Artificial Manual Breathing Unit
3. Artificial Mechanical Breathing Unit
4. Automated Mechanical Breathing Unit

Correct answer: 2. Artificial Manual Breathing Unit

Explanation: Ans: B (Artificial...) AMBU: ARTIFICIAL MANUAL BREATHING UNITCommonly used to provide positive pressure ventilation to patients who are not breathing or not breathing adequately.Maximum volume of bag is 1200 ml100% oxygen can be delivered by Ambu bag by attaching oxygen source Si oxygen reservoirAmbu unit consists of one self inflating bag made up of rubber or silicone, Ruben non rebreathing type of valve & a mask